Singer's alkali denaturation test is used to differentiate
1. Abortion from early pregnancy
2. Perimenopausal from pregnancy
3. Uterine malignancy from pegnancy
4. Vasa previa from placenta previa

Correct answer: 4. Vasa previa from placenta previa

Explanation: Singer's alkali denaturation test : It is a diagnostic test for vasa previa In this nucleated red blood cells are detected Ref: Dutta Obs 9e pg 243.